Radioisotopes emit all the following except?
1. Alpha Rays
2. Beta Rays
3. Gamma Rays
4. X-rays

Correct answer: 4. X-rays

Explanation: X rays are artificially produced in the Xray tube or by using LINAC(Linear Accelerator) Radioisotopes emit either Alpha Rays,Beta Rays and Gamma Rays